Most common site for anal fissure is
1. 3 O' clock
2. 6 O' clock
3. 2 O' clock
4. 10 O' clock

Correct answer: 2. 6 O' clock

Explanation: An anal fissure (synonym: fissure-in-ano) is a longitudinal split in the anoderm of the distal anal canal (Fig. 69.24), which extends from the anal verge proximally towards, but not beyond, the dentate line.most common site for anal fissure is 6 O' clock Ref: Bailey & Love's Short Practice of Surgery,E25,Page-1251